Characteristic of acute Glomerulonephritis is?
1. RBC cast
2. Hemoglobinuria
3. Hyaline cast
4. Broad cast

Correct answer: 1. RBC cast

Explanation: a. RBC cast Produced due to bleeding from within the glomerulus seen in acute glomerulonephritis (GN) b. Hemoglobinuria Hemoglobinuria without hematuria usually occurs in the presence of hemolysis. c. Hyaline cast Seen in nephrotic syndrome and not nephritic d. Broad cast Broad casts are seen in chronic kidney disease.